Methyl alcohol causes blindness by acting on?
1. Ganglion cells
2. Nerve fibers
3. Rods & Cones
4. Rods only

Correct answer: 1. Ganglion cells

Explanation: Ganglion cells REF: khurana 4th ed p. 296 "Methyl alcohol is oxidized into formic acid and formaldehyde and it causes degeneration of ganglion cells of retina resulting in optic atrophy"